Animal waste is disposed off by-
1. Incineration
2. Autoclave
3. Microwave
4. None

Correct answer: 1. Incineration

Explanation: Ans. is 'a' i.e., Incineration Animal wastes (category 2) are disposed by incineration or Deep burial.